A 33-year-old rugby player came for follow-up after a first time anterior shoulder dislocation 6 weeks ago. The shoulder has remained reduced. On examination, he has a good range of painless active and passive motion. Which of the following is considered as a dynamic stabilizer of the glenohumeral joint
1. Glenoid fossa
2. Coracohumeral ligament
3. Anteroinferior labral complex
4. Subscapularis muscle

Correct answer: 4. Subscapularis muscle

Explanation: The periscapular musculature stabilizes the glenohumeral joint during and throughout its full range of motion, thus acting as dynamic restraints. The other answers listed are static restraints.